Most common site of childhood rhabdomyosarcoma is
1. Trunk
2. Genitourinary system
3. Extremities
4. Head and neck

Correct answer: 4. Head and neck

Explanation: Rhabdomyosarcoma usually begins in muscles that are attached to bones and that help the body move. Rhabdomyosarcoma is the most common type of soft tissue sarcoma in children. It can begin in many places in the body. Ref robbins 9/e p510